Intrahepatic cholestasis of pregnancy occurs in
1. First trimester
2. Second trimester
3. Third trimester
4. Postpartum

Correct answer: 3. Third trimester

Explanation: DisorderOnset in PregnancyHyperemesisEarlyCholestasisLateFatty liverLatePreeclampsiaMid to lateHepatitisVariable(Ref: William's Obstetrics; 25th edition)